Great cerebral vein of Galen drains into -
1. Cavernous sinus
2. Basal vein
3. Internal cerebral vein
4. Straight sinus

Correct answer: 4. Straight sinus

Explanation: Ans. is 'd' i.e., Straight sinuso Great cerebral vein of Galen is formed by the union of two internal cerebral veins.o It is 2 cm long.o It is drains into the straight sinus.o Its tributaries arei) Internal cerebral veinsii Basal veinsiii) Occipital veinsiv) Posterior callosal vein